Pneumocephalus is seen in fracture of
1. Maxillary sinus
2. Frontal sinus
3. Sphenoid sinus
4. Mastoid antrum

Correct answer: 2. Frontal sinus

Explanation: Pneumocephalus is the presence of air or gas within the cranial cavity.Pneumocephalus is seen in fracture of frontal sinus (Posterior table); may also be seen in ethmoid fracturesRef: Hazarika; 3rd ed; Pg 355